Treatment of orthostatic hypotension is
1. Dopamine
2. Diuretics
3. Fludrocortisone
4. Calcium channel blockers

Correct answer: 3. Fludrocortisone